Most common site of VIIIth cranial nerve schwannoma is:
1. Intrapetrous
2. Intraparotid
3. Intracanalicular
4. Cisternal

Correct answer: 3. Intracanalicular

Explanation: The most common location of acoustic nerve schwannoma is the internal auditory canal (Intracanalicular). It may then grow back to compress the facial nerve, and then progressively involve the cistern and cerebello-pontine angle.